All the following effects are produced by inhibitors of prostaglandin synthesis except
1. Prolongation of bleeding time
2. Prolongation of prothrombin time
3. Prolongation of labour
4. Gastric mucosal damage

Correct answer: 2. Prolongation of prothrombin time

Explanation: (Ref:. KDT 6/e p186) Prothrombin time is increased by the drugs interfering with the coagulation pathway (e.g. warfarin). As cox has no role in coagulation, inhibitors,of PG svnthesis do not prolong PI. However, bleeding time (BT) is prolonged by the drugs interfering with platelet function. Aspirin increases,.BT by acting as an antiplatelet agent.